Keratinizing squamous cell carcinoma of nasopharynx is ?
1. Type I
2. Type II
3. Type III
4. Type IV

Correct answer: 1. Type I

Explanation: Ans. is 'a' i.e., Type I